Treatment of pseudopancreatic cyst is -
1. Percutaneous drainage
2. Pancreatectomy
3. Internal drainage (surgical)
4. All of the above

Correct answer: 4. All of the above

Explanation: Internal drainage can be performed with either percutaneous catheter based methods (transgastric puncture and stent placement to create a cystogastrostomy) endoscopic methods ( transpapillary drainage, cystgastrostomy or cystduodenostomy) surgical methods ( cystgastrostomy, cystduodenostomy or Roux-en-Y cystjejunostomy) Other methods of t/t have already been described. Ref srb manual of surgery 5e p690